Staphylococcal bacteria are
1. Gram negative
2. Tend to form chains
3. Found in grape like clusters
4. Associated with dental caries

Correct answer: 3. Found in grape like clusters